Ali of the following are true about Zenker's diverticulum except:
1. It is an acquired condition
2. It is a false diverticulum
3. Barium swallow, lateral view is the investigation of choice
4. Out pouching of anterior pharyngeal wall above cricopharyngeus muscles

Correct answer: 4. Out pouching of anterior pharyngeal wall above cricopharyngeus muscles

Explanation: Zenker's diverticulum is an acquired posterior pharyngeal pulsion diverticulum in which only the mucosa and submucosa herniate through the Killian's dehiscence. It is a false diverticulum. IOC is barium study.